Chediak higashi syndrome, defect is-
1. Fusion of lysosome
2. T-cells
3. B-cells
4. Complement

Correct answer: 1. Fusion of lysosome

Explanation: Chediak higashi syndrome -Defective phagolysosomal fusion leading to decrease in melanocytes Severe Combined Immunodeficiency- Deficiency of Purine Nucleoside Phosphorylase Chronic Mucocutaneous Candidiasis- T cell disorder leading to recurrent candidiasis X linked Hyper IgM Syndrome- Deficiency of CD40 Ligand on activated T cell